Parasitic intestinal infestation seen in immunosuppressed patient is -
1. Giardiasis
2. Ascariasis
3. Liver fluke
4. Strongyloides

Correct answer: 4. Strongyloides

Explanation: Ans. is 'd' i.e., Strongyloides Stroneyloides stercorolis It is an important opportunistic pathogen in immunocompromised host. Habitat Small intestine (duodenum and jejunum). . Infective form Filariform larva . Modes of infection - Penetration of skin by filariform larva in soil. - Autoinfection Remember S. stercoralis is a parthenogenic worm ie, female is able to produce fertile eggs or larvae without meeting with males.